Which is true about Enterobacteriaceae
1. All are oxidase negative
2. Nitrate reduction negative
3. Glucose not fermented by all
4. Motility by polar flagellum

Correct answer: 1. All are oxidase negative

Explanation: They are motile by peritrichous flagella, ferments glucose producing acid, reduces nitrates to nitrites, but forms catalase, not oxidase. They are non-sporing, non-acid, Gram-negative bacilli that are found in the gut of man and animals. Reference: Textbook of Microbiology; Anathanarayan and paniker's; 10th edition; Page no: 279